Therapeutic drug monitoring of Theophylline, when used clinically in Asthma, is because?
1. Narrow therapeutic margin
2. Idiosyncrasy
3. Nephrotoxic
4. Decreases Histamine

Correct answer: 1. Narrow therapeutic margin

Explanation: ANSWER: (A) Narrow therapeutic marginREF: KDT 6th edition page 35, 221, Katzung 12" edition page 339Theophylline should be used only when therapeutic drug monitoring available because it has narrow therapeutic window.Therapeutic drug monitoring (TDM) is particularly useful in the following situations:Drugs with low safety margin-digoxin, anticonvulsants, antiarrhythmics, theophylline,aminoglycoside antibiotics, lithium, tricyclic antidepressants.If individual variations are large; antidepressants; lithium.Potentially toxic drugs used in the presence of renal failure; aminoglycoside antibiotics, vancomycm.In case of poisoning.In case of failure of response without any apparent reason; antimicrobials.To check patient compliance; psychopharmacological agents.